Taq DNA polymerase true is ?
1. Thermolabile
2. High fidelity
3. Optimum temperature for chain elongation is 75deg
4. Has 3'S' exonuclease activity

Correct answer: 3. Optimum temperature for chain elongation is 75deg

Explanation: Ans. is 'c' i.e., Optimum temperature for chain elongation is 75deg As the DNA polymerase that is used in this process should be capable of withstanding repeated cycles of 94 or 95degC, the enzyme should be thermostable. Hence the DNA polymerase used in Polymerase Chain Reaction is extracted from an organism which lives in hot springs. That organism being Thermus aquaticus and hence the DNA polymerase is Taq DNA polymerase.Optimum temperature required for this enzyme for elongation is 75degC. Hence elongation is carried out at 72degC.